Vineyard sprayer lung is due to
1. Copper
2. Mercury
3. Lead
4. Phosphorous

Correct answer: 1. Copper

Explanation: Vineyard sprayer lung: - Due to inhalation of copper sulphate spray. - Characterised by histiocytic granulomatous lung. - Occurs in metal worker due to inhalation of dust or food contamination with verdigris.